The Imbert-Fick law is associated with
1. Schiotz tonometry
2. Applanation tonometry
3. Pachymetry
4. Keratometry

Correct answer: 2. Applanation tonometry

Explanation: The concept of applanation tonometry was introduced by Goldmann is 1954. It is based on Imbert- Fick law which states that the pressure inside a sphere (P) is equal to the force (W) required flattening its surface divided by the area of flattening (A); i.e., P = W/A. Reference: AK khurana 7th edition